Flumazenil, false is?
1. It is specific antagonist of BZD
2. It may be used in barbiturate poisoning as it acts on the same receptor i.e. GABAA
3. Given intravenously
4. Acts on GABAA receptor

Correct answer: 2. It may be used in barbiturate poisoning as it acts on the same receptor i.e. GABAA

Explanation: Ans. is 'b' i.e., It may be used in barbiturate poisoning as it acts on the same receptor i.e. GABAA Flumazenil is specfic antagonist of BZDs, i.e., it acts on BZDs binding site of GABAA receptors, which is different from Baributurate binding site. Therefore, flumazenil does not antagonize barbiturates =, not effective in barbiturates poisoning.